A patient is on regular medication for medical illness. Which of the following drugs can be safely stopped with least adverse effects before an abdominal surgery
1. Stains
2. Steroids
3. Beta blockers
4. ARB

Correct answer: 4. ARB

Explanation: D i.e. ARB Whereas angiotensin receptor blockers (ARB) are stopped preoperativelyQ. ACE inhibitors (capto/enala /lisino/rami-pril, enalaprilat) and angiotension II receptor blockers (valsartan) are increasingly used as 1st line antihypertensive drugs and appear to improve quality of life of patients taking antihypertensive drugs. However, ACE inhibitor, angiotensin II receptor blockers and ACE receptor blocking agents may be a/w more peripheral vasodilation and hypotension on induction of anesthesia (than sympatholytic drugs are). These last 2 classes of drugs are a/w such severe hypotension with standard anesthetic induction that these are either discontinued or at least considered discontinuing preoperativelyQ.